Podophyllin resin is indicated for the treatment of?
1. Syphilis
2. Herpes genitalis
3. Anogenital warts
4. LGV

Correct answer: 3. Anogenital warts

Explanation: Ans. is 'c' i.e., Anogenital warts Treatment options for wartsType of wartTreatment optionsi) Verruca vulgarisi) Cryotherapy, Electric cautery, wart paint (salicylic acid + lactic acid)ii) Palmoplantar wartsii) Wart paint, cryotherapy, Formalin soaksiii) Plane wartsiii) Trichloroacetic acid touch, Retinoic acidiv) Epidermodysplasia verruciformisiv) Acitretinv) Anogenital wart (condyloma acuminata)v) Podophvllin/ padophvlotoxin. Imiquimod. Cryotherapy